Most common phase-2 reaction -
1. Glucuronide conjugation
2. Acetylation
3. Methylation
4. Sulfate conjugation

Correct answer: 1. Glucuronide conjugation

Explanation: Ans. is 'a' i.e., Glucuronide conjugation o Most important metabolizing reaction, overall - Oxidationo Most important phase I reaction - Oxidationo Most important phase II reaction - Glucuranide conjugation